True about lupus anticoagulant include the following except -
1. Bleeding episodes can be life threatening
2. ↑aPTT
3. May occur without clinical signs
4. May be associated with recurrent mid trimester abortions

Correct answer: 1. Bleeding episodes can be life threatening